Bishops score includes all of the following, EXCEPT:
1. Dilatation
2. Effacement
3. Interspinous diameter
4. Station of presenting part

Correct answer: 3. Interspinous diameter

Explanation: Bishops pre-induction cervical scoring system contain parameters like dilatation, effacement, cervical length (cm), consistency, position and head station. Modification in 1991 replaced effacement with cervical length. The interspinous diameter is not included in the score. Ref: Textbook of Obstetrics By D. C Dutta, 6th Edition, Page 521-2